In a patient with UTI, CLED (Cystiene, Lactose Electrolyte Deficient) Media is preferred over MacConkey's media because:
1. It is a differential medium
2. It inhibits swarming of Proteus
3. Promotes growth of Pseudomonas
4. Promotes growth of staph aureus and Candida

Correct answer: 4. Promotes growth of staph aureus and Candida

Explanation: Ans. is 'd' i.e. promotes growth of Staph aureus & Candida Similarities, Between CLEP Media & McConkeys MediumBoth are differential mediaBoth MacConkey and CLED media differentiates between lactose fermenting & non lactose fermentingBoth CLED & MaConkey media inhibits swarming of proteusBoth show greenish colour, matt surface & rough periphery of pseudomonas coloniesCLED media is preferred over MacConkey's for the culture of coliform and other bacteria from injected urine because-"It has the advantage in supporting growth of certain Staphylococcus Streptococci and Candida strain." - Maconki & Macgregor, 13/e